Which vaccine is NOT included in Indradhanush Mission?
1. Diphtheria
2. Tetanus
3. Meningococci
4. Tuberculosis

Correct answer: 3. Meningococci

Explanation: (C) Meningococci[?]Mission Indradhanush, depicting seven colours of the rainbow, targets to immunize all children against seven vaccine preventable diseases namely:-Diphtheria-Pertussis-Tetanus-Childhood Tuberculosis-Polio-Hepatitis B-Measles[?]Purpose - Objective of Indradhanush:oTo enhance coverage of vaccinations against 7 Vaccine Preventable Disease's (VPDs)oTo immunize dropouts & those children not vaccinated at the recommended age. VACCINATION SCHEDULEWhenVaccineAt BirthBCG, OPV, Hepatitis B +6 WeeksOPV, DPT*, Hepatitis B* +10 WeeksOPV, DPT*, Hepatitis B* +14 WeeksIPV, OPV, DPT*, Hepatitis B* +9-12 MonthsMeasles, Vitamin A, JE** +16-24 MonthsMeasles, Vitamin A, JE**, OPV Booster, DPT Booster +5-6 YearsDPT Booster +10 & 16 YearsTT (Tetanus Toxoid)oMeningococcal vaccine is NOT included in Mission Indradhanush.-Currently available meningococcal vaccines include polysaccharide vaccines & polysaccharide-protein conjugate vaccines.-The conjugate vaccines are more immunogenic & also induce immunogenic memory.-Both vaccines are available against meningococci of serogroup A, C, W135 & Y.